Burden of disease is best detected by:
1. DALY
2. Sullivan's index
3. IMR
4. Survival index

Correct answer: 1. DALY

Explanation: Disability adjusted life years: Measures the burden of disease in the population & years lived with disability adjusted for the severity of the disability. One DALY is "one lost year of healthy life" Sullivan's index: Expectation of life free from disability, computed by subtracting from life expectancy the probable duration of bed disability & inability to perform major activities according to cross sectional data IMR is universally regarded not only as a most important indicator of the health status of a community but also of the level of living of people in general and effectiveness of MCH services in particular. IMR= No. of deaths of children less than 1 year of age in a year --------------------------------------------------------------------x1000 No. of live births in the same year Survival rate: It is the proportion of survivors in a group eg: patients studied and followed over a period (eg: 5-year period). It is a method of describing prognosis in certain disease conditions. Survival rate can be used as a yardstick for the assessment of standards of therapy. Survival rates have received special attention in cancer studies. Ref : Park's Textbook of Preventive and Social Medicine; 18th edition; Page-24